True about major depressive disorder
1. Commonly seen in female
2. Family H/O major depression
3. Associated with hypothyroidism
4. All

Correct answer: 4. All

Explanation: A i.e. Commonly seen in female; C i.e. Associated with hypothyroidism ; B i.e. Family h/o major depression